Lennox-Gastaut Syndrome is characterized by:
1. Single seizure type
2. Good prognosis and adequate controlled epilepsy
3. Affects mainly adolescents
4. Multiple seizure types that are difficult to control

Correct answer: 4. Multiple seizure types that are difficult to control

Explanation: Lennox-Gastaut syndrome (LGS): High yield facts It typically starts between the ages of 3 to 10 yr It consists of a triad of developmental delay, multiple seizure types and typical EEG changes Patients commonly have multiple seizure types (myoclonic, atypical absence, atonic, astatic, and tonic seizures) that are difficult to control, and most are left with long-term cognitive impairment and intractable seizures despite multiple therapies. EEG findings are 1-2 Hz spike-and-slow waves, polyspike bursts in sleep, and a slow background in wakefulness. Some patients start with Ohtahara syndrome, develop West syndrome and then progress to LGS